Which of the following values are suggestive of acute tubular necrosis :
1. Urine osmolality>500
2. Urine sodium>40
3. Blood urea nitrogen/plasma creatinine>20
4. Urine creatinine /plasma creatinine>40

Correct answer: 2. Urine sodium>40

Explanation: Answer is B (Urine sodium > 40) Urinary sodium excretion of more than 20mmol/L suggests intrinsic renal failure such as ATN Urine Diagnostic Indices: Differentiation of Prerenal and Intrinsic Renal failure. Acute tubular necrosis is a cause of Intrinsic ARF.Q